BRCA1 gene is located on chromosome:
1. 17q21
2. 13q12
3. 12q13
4. 21q17

Correct answer: 1. 17q21

Explanation: Mutations in BRCA1 and BRCA2 are responsible for 80% to 90% of "single gene" familial breast cancers and about 3% of all breast cancers. BRCA1 is located on 17q21 BRCA2 is located on chromosome 13q12.